When a psychiatric patient is asked what would he do if he sees a man lying on a road , which component is being assessed ?
1. Social judgment
2. Psychopathic tendency
3. Test judgment
4. Response judgment

Correct answer: 3. Test judgment

Explanation: Judgment An ability to assess a situation, make good decisions and act on them. Test judgment Social judgment Assessed by asking the person what would he do in a hypothetical situations such as House on fire Man lying on the road Sealed, stamped, addressed envelope lying on a street Ability to perceive social situations and act accordingly These are observed during the hospital stay : Does the patient understand the likely outcome of personal behavior ? Subtle manifestations of behavior that are harmful to the patient. Behavior that is not culturally acceptable.